Endometrial carcinoma with vaginal metastasis,what FIGO stage would it be:
1. Stage III a
2. Stage III b
3. Stage III c
4. Stage IV a

Correct answer: 2. Stage III b

Explanation: Ans. B: Stage III b